The drug of choice for obsessive-compulsive disorder is
1. Imipramine
2. Fluoxetine
3. Chlorpromazine
4. Benzodiazepine

Correct answer: 2. Fluoxetine

Explanation: Drug Treatment in obsessive-compulsive disorder: 1. Benzodiazepines (e.g. alprazolam, clonazepam) have a limited role in controlling anxiety 2. Antidepressants: Clomipramine (75-300 mg/day), a nonspecific serotonin reuptake inhibitor (SRI), was the first drug used effectively in the treatment of OCD. Fluoxetine (20-80 mg/day) is a good alternative to clomipramine and often preferred these days for its better side-effect profile. Fluvoxamine (50-200 mg/day) is marketed as a specific anti-obsessional SSRI drug, whilst paroxetine (20-40 mg/day) and sertraline (50-200 mg/day) are also effective in some patients. 3. Antipsychotics: These are occasionally used in low doses (e.g. haloperidol, risperidone, olanzapine, aripiprazole, pimozide) in the treatment of severe, disabling anxiety. 4. Buspirone has also been used beneficially as an adjunct for augmentation of SSRIs, in some patients. Ref: A Short Textbook of Psychiatry, Niraj Ahuja, 7th Edition, pg. no.98